The most common type of idiopathic nephrotic syndrome seen in children is:
1. Focal segmental glomerulosclerosis
2. Minimal change disease
3. Membranous nephropathy
4. Membranoproliferative glomerulonephritis

Correct answer: 2. Minimal change disease

Explanation: Ans. B. Minimal change diseaseNephrotic syndrome is a common renal disorder in children characterized by massive proteinuria, hypoalbuminemia and periorbital puffiness. The majority of children with nephrotic syndrome have minimal change disease (minimal glomerular changes seen histologically). Focal segmental glomerulosclerosis, membranous glomerulonephritis, membranous nephropathy and diffuse mesangial proliferative glomerulonephritis are other subtypes of nephritic syndrome, each with distinct histological changes in the glomerular biopsy examination.